A term baby girl has two episodes of bile-stained emesis at 24 hours after birth. There is a history of excessive amniotic fluid volume. The most appropriate diagnostic test is?
1. Blood culture
2. Barium swallow and Gastrointestinal X rays
3. CT scan of head
4. Neurosonogram

Correct answer: 2. Barium swallow and Gastrointestinal X rays